Byssinosis is seen in –
1. Cement factories
2. Textile industries
3. Iron factories
4. Grain fields

Correct answer: 2. Textile industries

Explanation: Byssinosis is due to exposure to cotton dust in textile industries.